Shape of nulliparous cervix is:
1. Conical
2. Circular
3. Longitudinal
4. Cylindrical

Correct answer: 1. Conical

Explanation: Ans. Conical